A known HIV positive patient is admitted in an isolation ward after an abdominal surgery following an accident. The resident doctor who changed his dressing the next day found it to be soaked in blood. Which of the following would be right method of choice of discarding the dressing
1. Pour 1% hypochloric on the dressing material and send it for incineration in an appropriate bag
2. Pour 5% hypochlorite on the dressing material and send it for incineration in an appropriate bag
3. Put the dressing material directly in an appropriate bag and send for incineration
4. Pour 2% Lysol on the dressing material and send it for incineration in a appropriate bag

Correct answer: 3. Put the dressing material directly in an appropriate bag and send for incineration

Explanation: Solid wastes contaminated with blood and fluids including cotton, dressing, soiled plaster castes comes under Category no 6. - category no 6 wastes are discarded in appropriate colour plastic bag and treated by incineration, autoclaving and microwaving. Reference: Park's textbook of preventive and social medicine, 23rd edition, pg no: 793,794